Akinesia (hypoactivity) and mutism is a feature of
1. Twillight state
2. Stupor
3. Cataplexy
4. Torpor

Correct answer: 2. Stupor

Explanation: Akinesia + Mutism is a feature of stupor, which is seen in catatonic schizophrenia or catalepsy.
Option c : Cataplexy is sudden loss of muscle tone seen in Norcolepsy, which is not a correct answer.